Which of the following is known as caspase independent programmed cell death
1. Necroptosis
2. Apoptosis
3. Pyroptosis
4. All of the above

Correct answer: 1. Necroptosis

Explanation: In sharp contrast to apoptosis, the genetic program that drives necroptosis does not result in caspase activation and hence it is known as caspase independent programmed cell death.